A patient Rajnish having depressive disorder has taken 25 times the normal dose of amitriptyline. Which of the following is not likely to be observed in this patient?
1. Coma and shock
2. Hot dry skin
3. Hypotension
4. Pinpoint pupil

Correct answer: 4. Pinpoint pupil

Explanation: (Ref: KDT 6/e p444) Amitriptyline is a TCA like imipramine. It causes mydriasis due to anticholinergic activity. Other adverse effects are also similiar to imipramine.